Squamous cell carcinoma of maxilla--T3N0M0 staging. Treatment Is:
1. Radiotherapy
2. Maxillectomy
3. Radiotherapy and maxillectomy
4. Maxillectomy and chemotherapy

Correct answer: 3. Radiotherapy and maxillectomy

Explanation: According to AJCC classification (2002), T, tumour of maxillary sinus involves posterior wall of maxillary sinus or subcutaneous tissues of check, floor or medial wall of orbit, pterygoid fossa or ethmoid sinus. This requires surgical excision and post-operative radiotherapy. Post-operative radiation improves local control but has not been demonstrated to increase survival. All maxillary cancers of stage III and IV are treated by combined modality.